A child is presenting with vomiting and abdominal pain after 5 hours of eating some food. The most likely causative orgonism -
1. Bacillus cereus
2. Cl. perfringens
3. Cl. botulinum
4. V. cholerae

Correct answer: 1. Bacillus cereus

Explanation: Ans. is 'a' i.e., Bacillus cereus Wef: Harrison 18th/e p. 1088]o Food poisoning presenting within 6 hours is seen (i) Staph aureus, and (ii) B. cereus.o Cl. botulinum causes constipation (not diarrhea) and the incubation period is about 18-24 hourso V. cholerae has incubation period > 16 hours. OrganismSymptomsFood soureIncubation period1. Staph aureusDiarrhea, Vomiting, No feverVomiting, diarrhea, No feverMeat, dairy & poultry productFried rice1-6 hrs2. Bacillus cereus (emetic type)Incubation period 8-16 hrs1. Bacillus cereus (diarrheal type)Diarrhea, no vomiting, no feverwide range - meat vegetables, cerealsBeef, poultry, legumes2. Cl. perfringensDiarrhea, no vomiting, no feverIncubation period > 16 hrs1. V. cholerae2. V. Parahemolyticus3. Salmonella species4. Shigella species5. CampylobacterjejuniDiarrhea, vomiting, No feverDiarrhea, vomiting, feverDiarrhea, fever, rarely vomitingDiarrhea, fever rarely vomitingDiarrhea, fever, no vomitingWide range of foodSea foodBeef, poultry, eggs, dairy productPotato or egg salad, raw vegetablesPoultry raw milk